Powdered gold is:
1. Made by a combination of chemical precipitation and atomization
2. Made by electrolytic precipitation
3. Made by beating pure gold at high temperatures
4. Made by milling pure gold ingots

Correct answer: 1. Made by a combination of chemical precipitation and atomization

Explanation: Granular (Powdered) Gold
Gold powders in agglomerated form can also be prepared by chemical precipitation or atomization from molten gold. To prevent agglomerates from disintegrating, the atomized and chemically precipitated powders are first mixed with a soft wax to form pellets. 
Ref: Phillips 12 ed page no 413